Pharmaceutical waste includes
1. Waste containing body parts, blood, and other body fluids
2. Waste containing expired pharmaceuticals
3. Waste containing chemical substances
4. Waste containing cytostatic drugs

Correct answer: 2. Waste containing expired pharmaceuticals

Explanation: Pharmaceutical waste: Pharmaceuticals that are expired or no longer needed; Items containing or contaminated by pharmaceuticals.Genotoxic waste: Waste containing substances with genotoxic properties Ex: cytostatic drugs (often used in chemotherapy)Chemical waste: Lab reagents, film developer, solvents, disinfectants Park 23e pg: 789